Which of the following prokinetic drug acts on motilin receptors ?
1. Erythromycin
2. Metoclopramide
3. Loxiglumide
4. Cisapride

Correct answer: 1. Erythromycin